True about light microscopy in minimal change disease is:
1. Loss of foot process seen
2. Anti GBM Abs seen
3. IgA deposits seen
4. No change seen

Correct answer: 4. No change seen

Explanation: Answer is D (No change seen) No abnormality is evident on light microscopy in a case of minimal change disease. Investigation Light microscopy Q Electron microscopy Q ImmunofluorescenceQ Observation No abnormality hence the term minimal change Fusion of foot processes Absence of immunoglobulin or complement